In the Forrest classification for bleeding peptic ulcer with a visible vessel or pigmented protuberance is classified is
1. FI
2. FII a
3. FII b
4. FII c

Correct answer: 2. FII a

Explanation: Forrest Ia- spurting and bleeding, Forrest IIa - a visible vessel with ted or blue protrusion or pulsatile pseudoaneurysm, Forrest IIb - non-bleeding ulcer with clot overlying, Forrest IIc- ulcer with haematin base. SRB edition:5 page no.834